What does the term nick translation refer to?
1. Translation of RNA into polypeptide
2. Regulation of gene expression
3. Technique to label DNA
4. Technique to digest DNA

Correct answer: 3. Technique to label DNA

Explanation: A nick is a discontinuity in a double stranded DNA molecule where there is no phosphodiester bond. Nick is created by DNAse I Nick translation is done by DNA polymerase I Nick sealing is done by DNA ligase Nick translation removes DNA ahead of a nick, synthesizes DNA behind nick and as a net result, moves the nick in the 5' to 3' direction. This property is used to incorporate radio labeled nucleotides in DNA.